False about Kerley's A lines
1. Lines are 2-6 cm in length
2. These are found in mid and upper zones
3. These are due to thick interlobar septa
4. Transverse lines at lung base perpendicular to pleura

Correct answer: 4. Transverse lines at lung base perpendicular to pleura

Explanation: Kerley's A lines are thin, non-branching lines radiating from hilum.